Myxoedema coma is treated with -
1. Hydrocortisone
2. Liothyronine
3. Levothyroxine
4. All of the above

Correct answer: 4. All of the above

Explanation: Ans. is 'd' i.e., AH of the above Treatment of myxedema comao Draw serum for T4, TSH, and cortisol.o Administer thyroxine 209 to 400 mg (0.2 to 0.4 mg) intravenously followed by daily doses of 50 to 100 mg, and triiodothyronine 5 to 20 mg intravenously followed by 2.5 to 10 mg every- 8 hours.o Change to an equivalent oral dose of thyroxine when the patient can tolerate oral medications (Oral dose = Intravenous dose 0.75).Supportive measures:# Mechanical ventilation# Fluids and vasopressor drugs to correct hypotension# Passive rewarming# Intravenous dextrose# Stress-doses glucocorticoids# Consider empirical antibiotic treatment# Monitor for arrhythmias and treat when indicated